Breech presentation is a risk factor for the following condition -
1. CTEV
2. SCFE
3. DDH
4. Perthes disease

Correct answer: 3. DDH

Explanation: Ans. is 'c' i.e., DDH Risk factors for DDH/CDH (Remember4Fs 1HO)o Femaleso First bomso Familial DDH is found in families o Faulty intrauterine position (Breech presentation)o Hormone induced laxityo Oligohydramnion